Method to represent qualitative data -
1. Histogram
2. Comulative frequency curve
3. Frequency polygon
4. Bar Chart

Correct answer: 4. Bar Chart

Explanation: Ans. is 'd' i.e., Bar Chart DataScaleGraph/DiagramQuantitativeInterval scale Ratio scaleHistogram Frequency polygon frequency curves line chart scatter diagram Cumulative frequency Curve Line Chart graphQualitativeNominal scale Ordinal scaleBar diagram Pie chart PictogramMap diagram or spot map